Criteria for staging of disease include the following EXCEPT
1. Size of primary tumor
2. Degree of differentiation
3. Extension to lymph nodes
4. Metastases

Correct answer: 2. Degree of differentiation

Explanation: Ans. b (Degree of differentiation) (Ref. Robbin's pathology 7th/pg. 543)# Tumor grade is a system used to classify cancer cells in terms of how abnormal they look under a microscope and how quickly the tumor is likely to grow and spread.- Many factors are considered when determining tumor grade, including the structure and growth pattern of the cells. The specific factors used to determine tumor grade vary with each type of cancer.# Histologic grade, also called differentiation, refers to how much the tumor cells resemble normal cells of the same tissue type.# Nuclear grade refers to the size and shape of the nucleus in tumor cells and the percentage of tumor cells that are dividing.# Cancer stage refers to the extent or severity of the cancer, based on factors such as the location of the primary tumor, tumor size, number of tumors, and lymph node involvement.Tumor grade vs stageGradeDegree of cellular differentiation based on histologic appearance of tumor.Usually graded l-IV based on degree of differentiation and number of mitosis per high-power field; character of tumor itself.Stage usually has more prognostic value than grade.StageDegree of localization/spread based on site and size of lesion, spread to regional lymph nodes, presence of metastases;spread of tumor in a specific patientStage=spread.T = size of tumourN = Node involvementM = Metastases